A 9-yr-old boy has multiple itchy erythematous wheals all over the body for 2 days. There is no respiratory difficulty. Which is the best treatment?
1. Antihelminthics
2. Systemic corticosteroids
3. Antihistamines
4. Adrenaline

Correct answer: 3. Antihistamines

Explanation: Anti-histamines are most often used to control pruritus and mild sedation is responsible for antipruritic action. Sedation may limit their usefulness; however, when used at bedtime, sedating anti-histamines may improve the patient's sleep. Systemic steroids and adrenaline are used in severe cases with respiratory difficulty.